Most common arrhythmia associated with succinylcholine:-
1. Ventricular tachycardia
2. Sinus bradycardia
3. Torsado de pointes
4. Paroxysmal atrial tachycardia

Correct answer: 2. Sinus bradycardia

Explanation: Sinus bradycardia is most common arrhythmia associated with succinylcholine. Succinylcholine is dicholine ester i.e. two molecules of acetylcholine. If it reaches cardiac muscarinic receptor then it can cause bradycardia and arrythmias. In contrast to actions at cardiac muscarinic cholinergic receptors the effect of succinylcholine at autonomic nervous system causes tachycardia and hypertension